Commonest presentation of Wilm's tumour is:
1. Hematuria
2. Abdominal lump
3. Hydronephrosis
4. Pain in abdomen

Correct answer: 2. Abdominal lump

Explanation: WILMS TUMOR Wilm's Tumor: MC primary renal tumor of childhood (2-5 Years) Wilm's Tumor: 2nd MC malignant abdominal tumor in children (MC is neuroblastoma). Arise from kidney, composed of three elements- Blastema, Epithelium & Stroma. (BESt) MC presenting feature is asymptomatic abdominal mass or swelling.